Most common location of nasal hemangioma:
1. Nasal Septum
2. Inferior turbinate
3. Vestibule
4. Uncinate process

Correct answer: 1. Nasal Septum

Explanation: Nasal Hemagiomas: Capillary hemangioma: This bleeding polyp of the anteroinferior part of nasal septum is a soft, dark red pedunculated or sessile tumor. - It presents with recurrent epistaxis and nasal obstruction. - This smooth growth may become ulcerated. Treatment: It needs local excision with a cuff of surrounding mucoperichondrium. Cavernous hemangioma: It arises from the turbinates. Treatment: It is treated by surgical excision with preliminary cryotherapy. Extensive lesions may need combined radiotherapy and surgical excision.